Bilateral recurrent laryngeal nerve palsy is seen in:
1. Thyroidectomy
2. Carcinoma thyroid
3. Cancer cervical oesophagus
4. All of the above

Correct answer: 4. All of the above

Explanation: Causes of bilateral recurrent laryngeal nerve palsy are: Idiopathic Post thyroid surgery Thyroid malignancy Carcinoma of cervical part of esophagus Cervical Lymphadenopathy Peripheral neuritis causes high vagal palsy which leads to both superior as well as recurrent laryngeal nerve palsy i.e. bilateral complete palsy.